In AML, diagnosis of blasts cells is
1. 10% of myeloid blasts
2. 15% of myeloid blasts
3. 20% of myeloid blasts
4. 10% of myeloid blasts and 15% promyelocytes

Correct answer: 3. 20% of myeloid blasts

Explanation: C. i.e. (20% of myloid blasts) (462 - Basic pathology) (418 Harsh Mohan 5th)ACUTE MYELOGENOUS LEUKEMIA* As per WHO classification of leukemias, these criteria have been revised upwards to 20% blasts in the marrow for labeling and treating a case as AML (418 - Harsh Mohan 5th)* By definition, in AML myeloid blasts or promyelocytes make up more than 20% of bone marrow cellularity (462- Basic pathology 8th)* **DIC is seen in M3 type of AML* ** Auer rods, red -staining rod like structures present in the myeloblasts or more differentiated cells (Diagnostic clue)* Abnormal PML/RARA fusion proteins* Autoimmune haemolytic anemia is seen in CLL*** Chloroma is greenish in appearance due to the presence of myeloperoxidase seen in AML**** In AML, Chromosomal anomaly is - 8: 21 *** All - trans- retinoic acid is used in treatment for Acute- Promyelocytic Leukemia (PML)**